Most common site of primary impact injury topedestrians in a motor vehicle accident is...
1. Abdoemn
2. Legs
3. Head
4. Chest

Correct answer: 2. Legs

Explanation: legs Three types of injuries are seen in pedestrians in a motor vehicles injury. 1. Primary impact injuries (the first part struck) - These injuries are caused by the first impact between the vehicle and the pedestrian. 2. Secondary impact injuries (further injuries by the same vehicle) - These injuries are d/t subsequent impact with the same vehicle, for eg. the pedestrian may be lifted on to the vehicle after the initial impact. 3. Secondary injuries (sometimes also called tertiary injuries) - These are the injuries caused d/t the victim falling on the ground or other stationary object. In primary impact injuries, the site and nature of injuries depend on the height of the pedestrian and upon the position of the person in relation to the vehicle when struck, i.e. whether crossing the road from one side to the other walking with or against the traffic. The injuries also depend upon the relative heights of various parts of the vehicle, i.e. bumper, radiator, fenders. In a typical case, the victim is struck by the front of the vehicle. An adult usually sustains injuries on the legs and a child on the head. Fracture of the tibia and, fibula of one or both legs is k/a bumper fracture. - The fracture is usually spiral or wedge shaped. The base of the triangular fragment of bone indicates the site of the impact and the apex points in the direction in which the vehicle was travelling. - In a bumber fracture, the distance from the heel to the ,fracture sire gives information regarding height of the bumper and whether brakes were applied or not. When brakes are applied before the accident, the legs are injured at a lower level. (The .front bumber tends to rise during acceleration and dip under braking. If the pedestrian is hit from the side, there may be unilateral fracture of the nearest leg. If the pedestrian is facing the vehicle. he may sustain intra-abdominal injuries and/or injuries to the chest wall and thoracic contents. Sometimes the pelvis is fractured.